Selective 5–HT4 agonist useful in gastroesophageal reflux disease and lacking arrhythmogenic property is :
1. Buspirone
2. Sumatriptan
3. Cisapride
4. Tegaserod

Correct answer: 4. Tegaserod

Explanation: Both cisapride and tegaserod are selective 5HT4 agonists useful in the treatment of GERD. Cisapride possesses cardiac K+ channel blocking activity and can lead to torsades de pointes. Tegaserod is devoid of this adverse effect. However, tegaserod has recently been withdrawn due to an increased risk of MI and stroke.